False-negative tuberculin test is seen in all except
1. After 4-6 weeks of measles attack
2. Immunodeficiency state
3. Miliary tuberculosis
4. Atypical mycobacterial infection

Correct answer: 4. Atypical mycobacterial infection